Cerebral salt wasting occurs due to which of the following?
1. SIADH
2. Hyper secretion of ANP
3. Low cortisol secretion
4. Low aldosterone secretion

Correct answer: 2. Hyper secretion of ANP